All of the following are examples of mydriatics except :
1. Atropine
2. Homatropine
3. Tropicamide
4. Pirenzepine

Correct answer: 4. Pirenzepine

Explanation: D i.e. Pirenzepine